Compared to round collimation, rectangular collimation ↓es exposure by:
1. 60%
2. 50%
3. 40%
4. 30%

Correct answer: 1. 60%

Explanation: Compared to round collimation, rectangular collimation ↓es exposure by 60%